Abzyme is a/an
1. Isoenzyme
2. Allosteric enzyme
3. Abnormal enzyme
4. Antibody with a catalytic activity

Correct answer: 4. Antibody with a catalytic activity

Explanation: An abzyme also called catmab is a monoclonal antibody with catalytic activity.